A 5-year-old child presents with non-blanching purpura over the buttocks and lower limbs along with colicky abdominal pain. Further evaluation revealed deposition of IgA immune complexes. The most likely diagnosis is:
1. Henoch Shonlein Purpura
2. Kawasaki Disease
3. Wegner's Granulomatosis
4. Takayasu Disease

Correct answer: 1. Henoch Shonlein Purpura

Explanation: Answer is A (Henoch Shonlein Purpura): Presence of non-blanching palpable purpura (vasculitis of skin) and colicky abdominal pain (vasculitis of gastrointestinal tract) in a five-year-old child together with evidence of IgA deposition in immune complexes suggests the diagnosis of Henoch Scholein Purpura.